Which of the following is the most dreaded complication of Kawasaki's disease?
1. Desquamative rash
2. Lymphadenopathy
3. Coronary aneurysms
4. Thrombocytosis

Correct answer: 3. Coronary aneurysms

Explanation: Kawasaki disease is an acute febrile, usually self-limited illness of infancy and childhood (80% of patients are 4years old or younger); it is associated with an arteritis affecting large to medium-sized, and even small vessels. Its clinical significance stems primarily from a predilection for coronary artery involvement that can cause aneurysms that rupture or thrombose, resulting in acute myocardial infarctions.